Branched chain amino acids
1. Are normally completely catabolised by muscle to CO2 and H2O
2. Can be catabolised by liver but not muscle
3. Are the main dietary amino acids metabolized by intestine
4. Are a major source of nitrogen for alanine and glutamine produced in muscle

Correct answer: 4. Are a major source of nitrogen for alanine and glutamine produced in muscle

Explanation: Alanine released from the muscle is the major substrate for gluconeogenesis (Fig. 9.29). Fig. 9.33. Hormonal regulation of gluconeogenesis i. Alanine is transported to liver, transaminated to pyruvate and converted to glucose. This glucose may again enter the glycolytic pathway to form pyruvate, which in turn, can be transaminated to alanine. ii. Glucose-alanine cycle is important in conditions of starvation (Fig. 9.30). Thus net transfer of amino acid (nitrogen) from muscle to liver and corresponding transfer of glucose (energy) from liver to muscle is effected. iii. Alanine cycle is intimately related with Cori's cycleRef: DM Vasudevan - Textbook of Biochemistry, 6th edition, page no: 105